All of the following drugs are protease inhibitors EXCEPT:
1. Nelfinavir
2. Saquinavir
3. Abacavir
4. Ritonavir

Correct answer: 3. Abacavir

Explanation: ANTIVIRAL DRUGS: CLASSI FICATION 1.Anti-Herpes virus Idoxuridine, Acyclovir, Valacyclovir, Famciclovir, Ganciclovir*, Foscarnet* 2 Anti-Retrovirus (a) Nucleoside reverse transcriptase inhibitors (Nis): Zidovudine (AZT), Didanosine, Zalcitabine*, Stavudine, Lamivudine, Abacavir (b) Nonnucleoside reverse transcriptase inhibitors (NNis): Nevirapine, Efavirenz, Delavirdine* (c) Protease inhibitors: Ritonavir, Indinavir, Nelfinavir, Saquinavir, Amprenavir*, Lopinavir 3. Anti-Influenza virus Amantadine, Rimantadine* 4. Nonselective antiviral drugs Ribavirin, Lamivudine, Adefovir dipivoxil, Interferon alpha. ESSENTIALS OF MEDICAL PHARMACOLOGY K.D.TRIPATHI SIXTH EDITION PAGE NO:767